During program planning which of the following terms most appropriately defines the desired end result that is not operationally measurable?
1. Goal
2. Target
3. Objective
4. Mission

Correct answer: 1. Goal

Explanation: Goal is defined as the ultimate desired state towards which objectives and resources are directed. Unlike objectives and targets, goals are not constrained by time or existing resources, nor are they necessarily attainable. A goal is usually described in terms of: (1) What is to be attained (2) The extent to which it is to be attained (3) The population or the section of the environment involved (4) The geographic area in which the proposed programme will operate (5) The length of time required for attaining the goal Ref: Park's Textbook of Preventive and Social Medicine By K. Park, 19th Edition, Pages 719, 721; A Textbook of Public Health Dentistry By Marya, Page 534